Which is false about cohort study
1. Incidence can be measured
2. Used to study chronic diseases
3. Expensive
4. Always prospective

Correct answer: 4. Always prospective

Explanation: .cohort study is a type of analytical study which is usually undertaken to supp the existence of an association between suspected cause and disease.also known as prospective study /longitudinal study/incidence study/forward looking study etc.the cohorts are identified prior to the apperance of the disease under investigation..the study groups are observed over a period of time to determine the frequency of disease among them.the cohort study always preceeds from cause to effect.there are three types of cohort study mainly,prospective , retrospective ,and combined.the elements of a cohort study are, 1.selection of study subjects. 2.obtaining data on exposure 3.selection of comparison groups 4.follow up 5.analysis.the data obtained through the cohort study are analyzed in terms of incidence rates of outcomes among exposed and non exposed and estimation of risk. ref:park's textbook,ed 22,pg no 75